Which of the following statements about CARIE CARE is false?
1. No need for hand instruments
2. Main active ingredient is obtained from papaya extract
3. Reduced the need for LA
4. No adverse effects on pulp

Correct answer: 1. No need for hand instruments

Explanation: CARIE CARE contains:

Papaya extracts – 100 mg
Clove oil – 2 mg
Colored gel – 10 mg
Sterile water – 1 ml
Chloramine
Sodium chloride
Sodium methylparaben
Sodium propylparaben

Advantages:

Safe, no adverse effects on pulp
Reduced need for LA
Conservation of tooth structure
Reduced risk of pulp exposure
Pediatric, medically compromised patients

Limitations:

Need for rotary and hand instruments